Bile acid synthesized in liver (primary bile acids) is:
1. Lithocholic acid
2. Cholic acid
3. Deoxycholic acid
4. All of the above

Correct answer: 2. Cholic acid

Explanation: Bile acidsThey are steroid acids found predominantly in the bile.Bile acid refers to the protonated (-COOH) form.ile salt refers to the deprotonated or ionized (-COO-) form.Bile salts are bile acids compounded with a cation, usually sodium.The salts of taurocholic acid and glycocholic acid (derivatives of cholic acid) represent approximately eighty percent of all bile salts.The two primary bile acids are cholic acid, and chenodeoxycholic acid.Bile acids, glycine and taurine conjugates, and 7-alpha-dehydroxylated derivatives (deoxycholic acid and lithocholic acid) are all found in intestinal bile.The increase in bile flow is exhibited with an increased secretion of bile acids.e main function of bile acid is to facilitate the formation of micelles, which promotes processing of dietary fatBile acids are made in the liver by the cytochrome P450-mediated oxidation of cholesterol.They are conjugated with taurine or the amino acid glycine, or with a sulfate or a glucuronide, and are then stored in the gallbladder, which concentrates the salts by removing the water.Rate limiting step is the addition of a hydroxyl group on position 7 of the steroid nucleus by the enzyme cholesterol 7 alpha-hydroxylase.Upon eating a meal, the contents of the gallbladder are secreted into the intestine, where bile acids serve the purpose of emulsifying dietary fats.Bile acids serve other functions, including eliminating cholesterl from the body, drivin the ow of bile to eliminabte catabolites from the liver, emulsifying lipids and fat soluble vitamins in the intestine g to form micelles thatt. can be transported the lacteal system, and aiding in the reduction of the bacteria flora found in the smal intes inert a biliary tract.Conjugated bile acids are more efficient at emulsifying fats because at intestinal pH, they are more ionized than unconjugated bile acs.The body produces about 800 mg of cholesterol per day and about half of that is used for bile acid synthesis.In total about 20-30 grams of bile acids are secreted into the intestine daily.About 90% of excreted bile acids are reabsorbed by active transport in theileum and recycled in what is referred to as the enterohepatic circulation which moves the bile salts from the intestinal system back to the liver and the gallbladder.